Measure of dispersion is:
1. Mean
2. Mode
3. Standard deviation
4. Median

Correct answer: 3. Standard deviation

Explanation: Ans: cRef: Park, 17th ed, p. 612 & 18,h ed, p. 646